Drugs used for rare disease are known as:
1. Orphan drugs
2. Rare drugs
3. Over the counter drugs
4. Emergency drugs

Correct answer: 1. Orphan drugs

Explanation: Ans. A. Orphan drugsOrphan drug are specific drugs for treatment of rare diseases (orphan disease). Due to limited sale of the drug, manufacturer of the drug cannot recover its cost.WHO defines a disease as orphan or rare if it affects 6.5-10 out of every 10,000 people.No unanimous acceptable definition in India. However, Organization for Rare Diseases in India (ORDI) defines a rare disease as one that affects 1 in 5000 people or lessIn US, a disease is orphan if it affects less than 2,00,000 people at a given point of time